patient recieved 12 hours after fracture of tibia is having pO2 as 60% On re breathing unit maintaining the saturation of loo% but remains confused Chest is clear What is most likely diagnosis
1. Pulmonary confusion
2. Fat embolism syndrome
3. Pulmonary Embolism
4. ARDS

Correct answer: 2. Fat embolism syndrome

Explanation: REF : MAHESWARI 7TH ED